A 3 yr. old child develops bloody diarrhea ,hemorrhagic colitis due to E. coli 0157:H7 is suspected. What medium should be inoculated to help the lab staff make the diagnosis of this infection
1. TCBS
2. Sorbitol Mac Conkey Agar
3. Modified Thayer Main medium
4. Chocolate agar

Correct answer: 2. Sorbitol Mac Conkey Agar

Explanation: The medium required to make the diagnosis of enterohaemorrhagic E.coli infection is sorbitol MacConkey agar because it does not ferment sorbitol. CULTURE MEDIA ORGANISM TCBS Vibrio cholera Sorbitol MacConkey Agar EHEC Modified Thayer Main medium Neisseria species Chocolate agar Neisseria species and Hemophilus sp.